The number of live births/no of females 15-45 in the population denotes: (Repeat)
1. General fertility rate
2. Total fertility rate
3. Gross reproduction rate
4. Age specific fertility rate

Correct answer: 1. General fertility rate

Explanation: Ans: A (General fertility rate) Ref: Park's Preventive and Social Medicine, 22nd edition. & style="font-size: 1.04761904761905em; color: rgba(0, 0, 0, 1); font-family: Times New Roman, Times, serif">Vital _rates. aspxExplanation:General fertility rate (GFR):* The number of births in a year divided by the number of women aged 15-44, times 1000. It focuses on the potential mothers only, and takes the age distribution into account.Gross reproduction rate (GRR)It is the average number of daughters that would be bom to a woman (or a group of women) if she survived at least to the age of 45 and conformed to the age-specific fertility rate of a given year. It is often regarded as the extent to which the generation of daughters replaces the preceding generation of females.This rate is similar to the net reproduction rate but it ignores the fact that some women will die before completing their childbearing yearsThe GRR is particularly relevant where sex ratios are significantly affected by the use of reproductive technologies.Total fertility rate (TFR)Also called as fertility rate, period total fertility rate (PTFR) or total period fertility rate (TPFR) It is the average number of children that would be born to a woman over her lifetime if:She were to experience the exact current age-specific fertility rates (ASFRs) through her lifetime.She were to survive from birth through the end of her reproductive life.It is obtained by summing the single-year age- specific rates at a given time.Net reproduction rate (NRR)It is defined as the number of daughters a woman would have in her lifetime if she were subject to prevailing age-specific fertility and mortality rates in the given year.When the NRR is exactly one, then each generation of women is exactly reproducing itself.NRR is particularly relevant where the number of male babies born is very highThis is a significant factor in world population, due to the high level of gender imbalance in the very populous nations of China and India.The gross reproduction rate (GRR), is the same as the NRR, except that--like the TFR--it ignores life expectancy.Latest Indian Data (Census 2011)Crude birth rate24.8General Fertility rate95.3Total Fertility rate3Gross reproduction rate1.4